A patient comes to you with history of frequent cycles with heavy bleeding. This condition is called:
1. Menorrhagia
2. Polymenorrhea
3. Polymenorrhagia
4. Metrorrhagia

Correct answer: 3. Polymenorrhagia

Explanation: Menorrhagia - regular cycles with prolonged or heavy bleeding Polymenorrhea - frequent cycle with normal bleeding Polymenorrhagia - frequent cycles with heavy bleeding Menorrhagia - Inter menstrual bleeding Also know Normal cycle - 21 - 35 days ( frequency) Normal duration - 2 - 8 days Normal volume - 15 - 80 ml Ref: Essentials of Gynaecology by Lakshmi Seshadri, Edition 1, page - 105.